Who was the first to determine the sequence of a polypeptide?
1. Pehr Edman
2. Frederick Sanger
3. John Kendrew
4. Oakley Fulthrop

Correct answer: 2. Frederick Sanger

Explanation: Sanger was the first to determine the sequence of a polypeptide. Mature insulin consists of the 21-residue A chain and the 30-residue B chain linked by disulfide bonds. Frederick Sanger reduced the disulfide bonds, separated the A and B chains, and cleaved each chain into smaller peptides using trypsin, chymotrypsin, and pepsin.
Ref: Harper’s illustrated biochemistry. 30th edition page no: 29